A child is below the third percentile for height. His growth velocity is normal, but chronologic age is more than skeletal age. The most likely diagnosis is:
1. Constitutional delay in growth
2. Genetic short stature
3. Primordial dwarfism
4. Hypopituitarism

Correct answer: 1. Constitutional delay in growth

Explanation: a. Constitutional delay in growth(Ref: Nelson's 20/e p 2643, Ghai 8/e p 35-37)The child in this Question has: Height below 3rd percentile, i.e., short stature.Normal growth velocity, i.e., normal variant of short stature and Skeletal age is less than chronological age.So, this child has Constitutional delay in growth.